Near point of the eye varies with:
1. The age of the patient
2. The static refraction of the eye
3. Both of the above
4. None of the above

Correct answer: 3. Both of the above

Explanation: Ans. Both of the above